Causes of conjugated hyperbilirubinemia is -
1. Rotor syndrome
2. Breast milk jaundice
3. Crigler najjar syndrome
4. Gilbert syndrome

Correct answer: 1. Rotor syndrome

Explanation: Ans. is 'a' i.e., Rotor syndrome Breast milk jaundice -o Decrease bilirubin uptake across hepathocyte membrane.o Entero-hepatic recirculation,o Leads to indirect hyperbilirubinemia.Rotor syndrome & Dubin-Johnson syndrome - (Nelson 17th/e Chapter 354)o Defect in hepatocyte secretion of conjugated bilirubin,o Leads to direct hyperbilirubinemia.